CPITN:
1. Was observed for the first time by ADA in 1992
2. Scored by a special periodontal probe of length 3 to 5 mm backward for easy visibility
3. Measure 6 representative teeth in young people
4. Score of '3' means the treatment involves oral hygiene instructions, scaling and curettage

Correct answer: 3. Measure 6 representative teeth in young people